Assessment of the visual acuity in children below 2 years of age can be made by the following tests, except:
1. Landolt's charts
2. Pattern visual evoked potential
3. Preferential looking behaviour
4. Optokinetic nystagmus

Correct answer: 1. Landolt's charts

Explanation: Ans. Landolt's charts